All are true statements about anticancer drugs except?
1. Vincristine is a marrow sparing anticancer drug
2. Irinotecan is a topoisomerase II inhibitor
3. L-asparaginase can cause acute pancreatitis
4. Anthracyclines cause cardiotoxicity

Correct answer: 2. Irinotecan is a topoisomerase II inhibitor

Explanation: Anthracyclines cause cardiotoxicity, prevented by dexrazoxane Bleomycin causes pulmonary fibrosis L-asparaginase cause allergy, acute pancreatitis Vincristine, vinblastine causes peripheral neuropathy & SIADH. But it is marrow sparing. Irinotecan is a topoisomerase I inhibitor used for colorectal carcinoma Topoisomerase II inhibitors are Etoposide, doxorubicin, Daunorubicin & anthracyclines.